A young patient presents with a massive injury to proximal duodenum, head of pancreas and distal common bile duct. The procedure of choice in this patient should be
1. Roux-en-Y anastonmosis
2. Pancreaticoduodenectomy (Whipple's operation)
3. Lateral tube jejunostomy
4. Retrograde jejunostomy

Correct answer: 2. Pancreaticoduodenectomy (Whipple's operation)

Explanation: .whipple's operation is done by removing (tumor with) head and neck of pancreas , c loop of duodenum, 40% distal stomach, 10cm proximal jejenum, lower end of common bile duct,gall bladder, peripancreatic,pericholedochal, paraduodenal and perihepatic nodes. continuity is maintained by choledochojejunostomy, pancreaticojejunostomy, and gastrojejunostomy. few advocate pancreaticogastrostomy into posterior wall of stomach. mortality in whipple's operation is 2-8% (Ref: SRB's Manual of Surgery, 5th edition, pg no. 706)